Amplifier host is -
1. Pig in JE
2. Dog in rabies
3. Man in JE
4. Cattle in JE

Correct answer: 1. Pig in JE

Explanation: Pig is amplifier host in japanese encephalitis REF:
ANATHANARAYANAN MICROBIOLOGY NINTH EDITION PAGE.521